Corpora amylacea is found in
1. Pineal
2. Prostate
3. Pituitary
4. Thyroid

Correct answer: 2. Prostate

Explanation: Inderbir Singh's Human Histology Sixth edition Pg 337 Small rounded masses of uniform or lamellated structures are found within lumen of follicles. These are called amyloid bodies or corpora amylacea